What does Gettlers test detects ?
1. Diatoms in drowning
2. Chloride content of blood in drowning
3. Weight in drowning
4. None

Correct answer: 2. Chloride content of blood in drowning

Explanation: Ans. is 'b' i.e., Chloride content of blood in drowning Gettler test estimates chloride content of blood from both sides of heart. It is done for drowning. Normally the chloride content is equal in the right and left chambers of the heart (600 mg/100 m1). In fresh water drowning due to hemodilution the chloride content is decreased and in salt water drowning due to hemoconcentration the chloride content is increased in left side of heart. A 25% difference in chloride is significant but the test is of doubtful value.